Recurrent erythematous plaques on glans penis in a 21 yrs old sexually active male which heals with residual hyperpigmentation, is suggestive of ?
1. Apthous Balanitica
2. Fixed Drug Eruption
3. Herpes Gestationis
4. Chlamydial infective

Correct answer: 2. Fixed Drug Eruption

Explanation: Fixed Drug Eruptions Characterized by one or more sharply demarcated, erythematous lesions, sometimes leading to a blister. Hyperpigmentation results after resolution of the acute inflammation. With rechallenge, the lesion recurs in the same (i.e. fixed) location. Lesions often involve the lips, hands, legs, face, genitalia and oral mucosa and cause burning sensation. Patch testing used to establish etiology.